One of the following is the t/t of choice for dermatitis herpetiformis:
1. Dapsone
2. Retinoids
3. Mtx
4. Corticosteroids

Correct answer: 1. Dapsone

Explanation: Ans. a. DapsoneTOC for dermatitis herpetiformis is gluten free diet DOC Dapsone